Trolly tract sign is seen in -
1. Achondroplasia
2. Psoriatic arthritis
3. Osteopetrosis
4. Ankylosing spondylitis

Correct answer: 4. Ankylosing spondylitis

Explanation: Trolly track sign : The Central radiodense line on frontal radiographs is related to ossification of supraspinous and interspinous ligaments. In addition, there are two more lateral vertical linear lines, which represent ossification of the apophyseal joint capsules. The three vertical ossified lines together make up the trolley-track sign. Radiological features of Ankylosis spondylitis are : Sacroiliitis Enthesopathy Romanus lesions Bamboo spine Rugger Jersy spine Intervertebral disc calcification Dagger sign Trolley track sign Squarring of vertebrae.